Pincer grasp develops at what age?
1. 5-8 months
2. 9-11 months
3. 12-15 months
4. 15-18 months

Correct answer: 2. 9-11 months

Explanation: Pincer grasp starts at 9 months and matures at 12 months(Refer: Nelson's Textbook of Pediatrics, SAE, 1st edition, pg no. 22 - 31)